Length of large intestine is:
1. 1.5 metres
2. 3 metres
3. 4.5 metres
4. 6 metres

Correct answer: 1. 1.5 metres

Explanation: 1.5 metres